In a measurement of cardiac output using the Fick principle, the O concentrations of mixed venous and arterial blood are 16 and 20 ml-100 ml-1, respectively, and the O consumption is 300 ml-min-1. The cardiac output in liters-min-1 is:
1. 5
2. 8
3. 9
4. 7.5

Correct answer: 4. 7.5

Explanation: Ans: (d) 7.5Ref: Ganong, 25th edition, Page 543The Fick principle states that the cardiac output is equal to the oxygen consumption divided by the arterial- venous oxygen concentration difference.Here, its (20 -16) ml-100 ml-1 or (200 - 160) ml liter-1.Therefore, the cardiac output is equal to 300/(200 - 160) or 7.5 liters-min-1